Fitzgerald's caloric test uses temperature at
1. 30degCand44degC
2. 33degCand21degC
3. 34degCand41degC
4. 37degCand41degC

Correct answer: 1. 30degCand44degC

Explanation: TESTS OF VESTIBULAR FUNCTION Fitzgerald-Hallpike test (bithermal caloric test): In this test, patient lies supine with head tilted 30deg forward so that horizontal canal is vertical. Ears are irrigated for 40 s alternately with water at 30degC and at 44degC (i.e. 7deg below and above normal body temperature) and eyes observed for appearance of nystagmus till its end point. Time taken from the start of irrigation to the end point of nystagmus is recorded and charted on a calorigram. Ref:- Dhingra; pg num:-43